Sodium Thiopentone is ultra short acting d/t –
1. Rapid absorption
2. Rapid metabolism
3. Rapid redistribution
4. Rapid excretion

Correct answer: 3. Rapid redistribution

Explanation: All iv inducing agent has rapid redistribution, therefore reversal occurs very early.